Hypothermia is used in all except:
1. Neonatal asphyxia
2. Cardiac surgery
3. Hyperthermia
4. Arrythmia

Correct answer: 4. Arrythmia

Explanation: There is substantial protection against ischemia and hypoxia is provided by. just 1-3°C hypothermia. Hypothermia reduces the tissue metabolic rate about 8%/OC.
 
It decreases the cerebral metabolic rate and is cerebroprotective during episode of cerebral ischemia The protection afforded by mild hypothermia is so great that reduced core temperature 34° probably indicated in
 
- Carotid artery surgery - Neurosurgery
 
- Procedures where tissue ischemia can be anticipated
 
- Traumatic brain injury - ARDS
 
- Malignant hyperthermia .
 
Hypothermia is used in cardiac surgery as cooling does slow heart and greatly depresses body metabolism .
 
Dysrhythmia occurs at temperature below 30°C, spontaneous ventricular fibrillation may be seen but is not likely above 28°C. So hypothermia is arrhythmogenic